Which is not associated with Drunkenness?
1. S. 520 IPC
2. S. 185 Motor vehicle act
3. S. 85 IPC
4. S. 86 IPC

Correct answer: 1. S. 520 IPC

Explanation: S. 510 IPC - MISCONDUCT IN PUBLIC PLACE BY A DRUNKEN PERSON S. 185 Motor vehicle act - DRUNK AND DRIVE S. 85 IPC - CRIMINAL RESPONSIBILITY - INVOLUNTARY DRUNKENESS S. 86 IPC - CRIMINAL RESPONSIBILITY - VOLUNTARY DRUNKENESS